A 10-year-old child presents with anemia and recurrent fractures. The X-ray shows diffuse hyper density of bone. The diagnosis is most likely to be:
1. Osteogenesis imperfecta
2. Osteopetrosis
3. Osteochondroma
4. Hyperparathyroidism

Correct answer: 2. Osteopetrosis